Which of the following drug is most likely to precipitate angina:
1. Diltiazem.
2. Verapamil.
3. Amlodipine.
4. Nifedipine.

Correct answer: 4. Nifedipine.